Which of the following extraocular muscles does not arise from annulus:
1. Inferior rectus
2. Medial rectus
3. Lateral rectus
4. Superior oblique

Correct answer: 4. Superior oblique

Explanation: The annulus of Zinn, also known as the annular tendon or common tendinous ring, is a ring of fibrous tissue surrounding the optic nerve at its entrance at the apex of the orbit.It can be used to divide the regions of the superior orbital fissure.The arteries surrounding the optic nerve are sometimes called the "circle of Zinn-Haller" (CZH).Some sources distinguish between these terms more precisely, with the annulus tendineus communis being the parent structure, divided into two parts:A lower, the ligament or tendon of Zinn, which gives origin to the Rectus inferior, part of the Rectus internus, and the lower head of origin of the Rectus lateralis.An upper, which gives origin to the Rectus superior, the rest of the Rectus medialis, and the upper head of the Rectus lateralis. This upper band is sometimes termed the superior tendon of Lockwood.The site of origin of the superior oblique muscle is from the lesser wing of sphenoid above the optic canal.